Arsenic poisoning presents with symptoms mimicking
1. Cholera
2. Dhatura poisoning
3. Barbiturates poisoniong
4. Morphine poisoning

Correct answer: 1. Cholera

Explanation: ARSENIC * Copper arsenite - sheele's green * Copper acetoarsenite - paris green * Permissible limits of arsenic in ground water - 0.05mg/L * The gastroenteric type of poisoning resembles cholera * Greatest quantity is seen in - liver * Red velvety appearance of mucosa of stomach * Most affected part of the stomach - pylorus * Subendocardial petechial hemorrhages of the ventricle is typical of arsenic poisoning (also found in phosphorus, barium, mercury and in cases of heat stroke and acute infectious disease e.g. influenza) * Rigor mortis lasts longer than usual, Delays putrefaction Ref ; Narayana reddy 33rd ed.